Lacunar cells are characteristic of:
1. Nodular sclerosing type of Hodgkin’s disease
2. Pleomorphic adenoma
3. Hurler’s syndrome
4. None of the above

Correct answer: 1. Nodular sclerosing type of Hodgkin’s disease

Explanation: Nodular sclerosis (NS) Hodgkin’s disease comprises 60–80% of all cases. The morphology shows a nodular pattern. The broad bands of fibrosis divide the node into ‘nodules’. The capsule is thickened. The characteristic cell is the lacunar-type RS cell, which has a monolobated or multilobated nucleus and a small nucleolus with abundant and pale cytoplasm. 
Ref: Shafer's textbook of oral pathology 7th edition page 187